Necrotizing papilities is seen in all of the following except:
1. Salicylate poisoning
2. Renal vascular thrombosis
3. PNH
4. Diabetes mellitus

Correct answer: 3. PNH

Explanation: Answer is C (PNH) PNH is not associated with necrotizing papillitis or papillary necrosis Diabetes milletus, analgesic abuse (salicylate poisoning) and Renal vein thrombosis are documented causes for renal papillary necrosis Renal Papillary Necrosis Renal papillary necrosis is typically caused by ischaemic necrosis and sloughing of Renal Papllae (The papillary tip is the apex of renal pyramid) It is clinically charachterized by Loin Pain Hematuria Variable degree of renal impairment Etiology / Predisposing factors Diabetes and analgesic abuse (NSAIDS) are the most common predisposing factors The Acronym POST CARD is traditionally used to enlist the causes of papillary necrosis but it does not put the causes in a useful. P - Pyelonephritis O - Obstruction S - Sickle --cell disease T - Tuberculosis C - Cirrhosis A - Analgesic abuse/Alcohol R - Renal vein thrombosis D - Diabetes POSTCARD -- causes of papillary necrosis